Functions of cholecystokinin are all except
1. Contraction of gall bladder
2. Increases resistance of sphincter of Oddi
3. Increased hepatic secretion of bile
4. Enhanced flow of biliary contents into duodenum

Correct answer: 2. Increases resistance of sphincter of Oddi

Explanation: Decreased resistance of sphincter of Oddi Also Inhibit gastric emptying